Which of the following nerve injury is most commonly associated with a humerus shaft fracture?
1. Radial nerve
2. Median nerve
3. Axillary nerve
4. Ulnar nerve

Correct answer: 1. Radial nerve

Explanation: Ans. is 'a' i.e., Radial nerve NERVE INJURIES ASSOCIATED WITH VARIOUS FRACTURESFRACTURENERVE INVOLVEDFracture Shaft HumerusRadial NerveSupracondylar humerus fractureAnterior Interosseus nervePosterior dislocation of hipSciatic nerveFracture neck of fibulaCommon peroneal nerveFracture medial epicondyle of humerusUlnar nerveFracture radial headPosterior interosseus nerve